Gonococcal vaginitis occur in :
1. Adults women
2. prepubertal girls
3. Infants
4. post menopausal women

Correct answer: 2. prepubertal girls

Explanation: Premenarchal girls are vulnerable to vaginal infection due to : Very low circulatory estrogen leading to Lack of stratification of vaginal epithelium Lack of glycogen and doderlein's bacillus Alkaline vaginal PH Ref: D.C.DUTTA'S TEXTBOOKOF GYNECOLOGY; 6th edition; Pg no:544